Sternum attached to scapula
1. Manubrium
2. Clavicle
3. First rib
4. Second rib

Correct answer: 2. Clavicle

Explanation: Sternum or chest bone is attached to scapula which is present on posterior surface with help of clavicle or collar bone so that weight of upper limb is transmitted to axial skeleton scapula,Clavicle and sternum